Anti Leprotic drug useful for lepra reactions
1. Dapsone
2. Rifampicin
3. Minocycline
4. Clofazamine

Correct answer: 4. Clofazamine

Explanation: Lepra reactions occur due to hypersensitivity reaction to dapsone.Two types are known type 1 lepra reaction is treated usingcorticosteroids and clofazamine and type 2 with Clofazamine - an anti-inflammatory drug apart from thalidomide and corticosteroids, chloroquine,aspirin,cholchicine. Ref: KD Tripathi 8th ed.